CYD - TDV vaccine strain is used for:-
1. HIV vaccine
2. Typhoral
3. Anthrax vaccine
4. Dengavaxia

Correct answer: 4. Dengavaxia

Explanation: Vaccine Strains Dengue/Dengavaxia : CYD-TDV BCG : Danish 1331 Measles : Edmonston Zagreb Mumps : Jeryl Lynn Rubella : RA 27/3 YF : 17D Varicella : Oka JE : SA 14-14-2 H1N1 : A7/California/2009 Mosquirix : RTS,S/AS01 (World's first & only licensed malaria vaccine. It is prepared from circumsporozoite protein of plasmodium falciparum using hepatitis B surface antigen) HIV : mvA (Modified vaccinia ancara) Typhoral : Tyz21a Anthrax : Sterne